Complication of neck femur fracture are all except-
1. Nonunion
2. Malunion
3. AVN
4. Osteoarthritis

Correct answer: 2. Malunion

Explanation: *Important complications of fracture femoral neck are AVN of femoral head ( most common ), nonunion and secondary osteoarthritis. *AVN is the most common complication of femoral neck fracture. M/c affects => Femoral Head M/c site => Anterolateral aspect (Being principal Wt. bearing portion) Incidence&;d/t t Steroid usage & Trauma AVN only occurs in FATTY MARROW, which contains a Sparse vascular supply. In contrast to Hematopoietic marrow which has a rich blood supply CAUSES * Trauma * Alcohol consumption * Corticosteroid intake * Gout and hyperuricemia * Hypercholesterolemia * Hypercoagulable states Hypercortisolism * Hyperlipidemia * Cushing disease * Hyperparathyroidism * Hemoglobinopathies * Intravascular coagulation (SCD;Hb S/C;Polycythemia) * Organ transplantation * Caisson disease * Pregnancy (Dysbaric osteonecrosis) * Congenital dislocation Hip * Pancreatitis * Ehlers-Danlos synd * Neoplasms * Heredity dysostosis * CRF * Legg-Calve-Perthes dis * Hemodialysis * Fabry disease * Cigarette smoking * Gaucher disease * Collagen Vascular dis * Giant cell arteritis * SLE * Thrombophlebitis * Idiopathic Ref: Essential of orthopedics surgery maheswari 9th ed p.426